Which of the following is present in the posterior cranial fossa in a five year old child?
1. Foramen rotundum
2. Foramen lacerum
3. Jugular foramen
4. Foramen spinosum

Correct answer: 3. Jugular foramen

Explanation: Except jugular foramen, all other foramen (Option 1,2 and 4) are present in middle cranial fossa.